Common interosseous artery is a branch of -
1. Brachial artery
2. Radial artery
3. Ulnar artery
4. Profunda branchii artery

Correct answer: 3. Ulnar artery

Explanation: Branches of ulnar arteryA) In cubital fossa1) Anterior ulnar recurrent :- Anastomoses with inferior ulnar collateral in from of medial epicondyle.2) Posterior ulnar recurrent :- Anastomoses with superior ulnar collateral behind medial cpicondyle.3) Common interosseous :- Divides intoi) Anterior interosseous : It is the deepest artery of front of forearm. It is accompanied by anterior interosseous nerve (a branch of median nerve). It pierces interosseous membrane at upper border of pronator quadratus to enter into extensor (dorsal) compartment. Its branches are : (a) muscular branches for deep muscles of front of forearm; (b) nutrient artery to radius and ulna; and (c) median artery.ii) Posterior interosseous : Near its origin, it gives of interosseous recurrent artery which ends by anastomosing with middle collateral artery.B) In forearm1) Palmar carpal branch2) Dorsal carpal branchC) In palm :- These are terminal branches.i) Deep branch :- Completes the deep palmar arch on medial side by joining the terminal part of radial artery.ii) Superficial branch :- Forms the major part of superficial palmar arch.